Ideal root canal filling for primary teeth
1. Calcium hydroxide-iodine mixture
2. Zinc oxide-eugenol
3. Gutta percha
4. Ferric sulphate

Correct answer: 1. Calcium hydroxide-iodine mixture